Commonest Organism Producing acute pyelonephritis
1. Staphylococcus
2. Streptococcus
3. E.coli
4. Salmonella

Correct answer: 3. E.coli